The cause of hyperuricemia and gout in glucose-6phosphatase deficiency is :
1. More formation of pentose
2. Decreased availability of glucose to tissues
3. Increased accumulation of sorbitol
4. Impaired degradation of free radicals

Correct answer: 1. More formation of pentose

Explanation: A i.e More formation of pentose Von Gierke's (type Ia glycogen storage) disease d/t deficiency of glucose 6 phosphatase enzymeQ is autosomal recessive in inheritance. It is characterized by - Cells (of liver, renal tubular epithelium & intestinal mucosa) containing normal structured metabolically unavailable glycogen, hepato-renomegalyQ, doll like face, hypoglycemia, hyper-lipoemia, hyper cholesterolemia, fatty infiltration of liver, ketosisQ, acidemia, T lactic acid, t uric acid and stunted growth.